Following scaling a patient notices hard black deposits. This may be due to:
1. Shrinkage of gingiva
2. Patient is heavy tea drinker
3. Poor home care
4. Blood clot formation on tooth surface

Correct answer: 1. Shrinkage of gingiva